True about tumour lysis syndrome are except A/E-
1. Hyperuricemia
2. Hypercalcemia
3. Hyperkalemia
4. Hyperphosphatemia

Correct answer: 2. Hypercalcemia

Explanation: in tumor lysis syndrome there is hypocalcemia ( Harrison 17 pg 1736)